Patterened bruice is seen on -
1. Breast
2. Neck
3. Abdomen
4. All

Correct answer: 4. All

Explanation: the synopsis for forensic medicine & toxicology ,Dr .k.s narayan reddy ,28th edition . Pg no .107 A patterned bruise is one in which the size and shape ,mirror a portion of object which caused it . So it can occur on any part of the body . The pattern gives the idea of the type of the weapon used ,it connects the victim and the object or weapon .